Which of the folloiwng topical steroid used in ophthalmology has the maximum potential to increase intraocular pressure ?
1. Hydrocortisone
2. Prednisolone
3. Dexamethasome
4. Fluoromethalone

Correct answer: 3. Dexamethasome

Explanation: Ans. is 'c' i.e., DexamethasomeThe IOP -elevating potential of steroids is as follows: dexamethasone > prednisolone > fluoromethalone > hydrocortisone > tetrahydrotriamcinalone> medrysone (after 6 weeks of dexamethasone therapy.42% have IOP > 20 mmHg and 69o have IOP > 31).The steroids with low IOP - elevating potential are fluorometholone (FMI). rimexolone (Vexol), and loteprednol (Latemas, Mrex).